Selective α2  agonist is:
1. Clonidine
2. Prazosin
3. Adrenaline
4. Propranolol

Correct answer: 1. Clonidine